Which drug should not be given in pregnancy:
1. Labetalol.
2. ACEinhibitors.
3. Hydralazine.
4. Methyl dopa.

Correct answer: 2. ACEinhibitors.

Explanation: ACE-inhibitors 

ACE inhibitors and ARBs have fetopathic potential, therefore are contraindicated in pregnancy.